Treatment of choice for endocervical polyp is :
1. Vaginal hysterectomy
2. Conization
3. Polypectomy
4. Radiotherapy

Correct answer: 3. Polypectomy

Explanation: Ans. is c i.e. Polypectomy Endocervical polyp : These lesions represent overgrowth of benign endocervical stroma covered by epithelium. They appear as single, red, smooth elongated masses extending from the external os. Polyps vary in size and range from several millimetres to 2 or 3cm. These common growths are found more frequently in multiparas and rarely in prepubertal females. Endocervical polyps are typically asymptomatic, but they can cause metrorrhagia, postcoital bleeding and symptomatic vaginal discharge. They are usually identified by visual inspection during pelvic examination. In some instances, Pap smear findings of atypical glandular cells have been associated with endocervical polyps. Although they are typically benign, but malignant transformation may develop in 1 percent. Importantly, cervical cancer can present as polypoid masses and can mimic these beinign lesions. For this reason removal and histologic evaluation are recommended for an endocervical polyp. Endocervical polyps are removed by grasping the polyp with a ring or polyp forceps. The polyp is twisted repeatedly about the base of its stalk to strangulate its feeding v essels. With repeated twisting the base will avulse. Monsel solution (ferric subsulfate) can be applied with direct pressure to the resulting stalk stub to complete hemostasis.